Pre-operative investigation recommended before surgical procedures in a patient on warfarin therapy is
1. Partial thromboplastin time
2. Clotting time
3. International Normalized Ratio
4. Differential count

Correct answer: 3. International Normalized Ratio